Mediastinoscope can be visualize all of the following lymphnode except ?
1. Right paratracheal lymphnode
2. Aorto pulmonary window lymphnode
3. Anterior tracheal
4. Subcarinal

Correct answer: 2. Aorto pulmonary window lymphnode